The most commonest cause of acute cor pulmonale is
1. Pneumonia
2. Pulmonary thromboembolism
3. COPD
4. primary spontaneous pneumothorax

Correct answer: 2. Pulmonary thromboembolism

Explanation: Ref Harrison 19 th ed pg 1454 ,1505 The most commonest cause of acute cor pulmonale is pulmonary thromboembolism. The most common cause of chronic cor pulmonale is COPD.